Structures pierced during pleural tapping are a/e
1. endothoracic fascia
2. pulmonary pleura
3. skin
4. intercoastal muscle

Correct answer: 2. pulmonary pleura